Which among the following is an early sign of magnesium toxicity?
1. Depression of deep tendon reflexes
2. Respiratory depression
3. Cardiac arrest
4. Decreased urine output

Correct answer: 1. Depression of deep tendon reflexes

Explanation: Ref:Drug Facts and Comparisons 2010/127 *Knee jerk (patellar reflex) starts diminishing at plasma magnesium concentration of 4mEq/L and disappears at 10mEq/L, where respiratory paralysis is a potential hazard.